Hyperglycemia occurs after what % of beta cell mass is destroyed:
1. 20%
2. 40%
3. 60%
4. 80%

Correct answer: 4. 80%

Explanation: * Type 1 diabetes mellitus is characterized by an inability to produce insulin endogenously. * Based on a series of histopathology studies, it is commonly stated that the onset of clinical symptoms corresponds to an 80-95% reduction in beta cell mass